M.C. precipitant of contact dermatitis is –
1. Gold
2. Nickle
3. Silver
4. Iron

Correct answer: 2. Nickle

Explanation: Nickel is the most common metal causing allergic contact dermatitis